In regenerative endodontic therapy of young permanent teeth, metronidazole is replaced by
1. Ornidazole
2. Doxycycline
3. Chloramphenicol
4. Cloxacillin

Correct answer: 1. Ornidazole